Reducing agent used in lipogenesis is derived from
1. Pentose phosphate pathway
2. Glycolysis
3. TCA cycle
4. Gluconeogenesis

Correct answer: 1. Pentose phosphate pathway

Explanation: NADPH is involved as donor of reducing equivalents in both the reduction of the 3-ketoacyl and of the 2, 3-unsaturated acyl derivatives. The oxidative reactions of the pentose phosphate are the chief source of the hydrogen required for the reductive synthesis of fatty acids.